Ocular bobbing is seen in:
1. Midbrain damage
2. Pontine damage
3. Medulla damage
4. Cerebellum damage

Correct answer: 2. Pontine damage

Explanation: Ocular bobbing: Brisk downward and slow upward movements of the eyes associated with loss of horizontal eye movements. Diagnostic of bilateral pontine damage, usually from thrombosis of the basilar artery. In contrast, ocular dipping is slower arrhythmic downward movement followed by faster upward movement in patients with a normal reflex horizontal gaze. It indicates diffuse cortical anoxic damage.